Kleiner syndrome is diagnosed by
1. Karvo typing
2. USG abdomen
3. Triple test
4. Echocadiography

Correct answer: 1. Karvo typing

Explanation: Klinefelter syndrome

Extra x chromosome (47 XXY) karyotype
Small testes with hyalinised seminiferous tubules
Delayed puberty
Delayed secondary sexual characters Small penis
Tall & underweight
Intellectual disability
Gynaecomastia